Infectious mononucleosis, a viral disorder that can be debilitating, is characterized by which of the following statements?
1. It is most prevalent in children less than 14 years old
2. It is caused by a rhabdovirus
3. The causative pathogen is an Epstein-Barr virus
4. Affected persons respond to treatment with the production of heterophil antibodies

Correct answer: 3. The causative pathogen is an Epstein-Barr virus

Explanation: All of Koch's postulates have been verified for the relationship between infectious mononucleosis and Epstein-Barr virus, a herpesvirus. However, the relationship between this virus and Burkitt's lymphoma, sarcoid, and systemic lupus erythematosus (SLE) is less clear. Infectious mononucleosis is most common in young adults (14 to 18 years of age) and is very rare in young children. There is no specific treatment. Heterophil antibody titer is helpful in diagnosis, but is not expressed as a function of clinical recovery.